True statement about malignant otitis externa is -
1. Not painful
2. Common in diabetics and old age
3. Caused by streptococcus
4. All of the above

Correct answer: 2. Common in diabetics and old age